Which of the following is/are the characteristics of the vegetations seen in patients with Libmann Sacks' endocarditis?
1. Medium sized
2. Irregular contour
3. Present on the surface of cusps of heart valves
4. All the above

Correct answer: 4. All the above

Explanation: Ans. is 'd' i.e., All the above* The affection of different valves in different conditions are as follows:VegetationsRheumatic FeverNon Bacterial ThromboticLibman Sacks'Endocarditis (SLE)Infective Endocarditis(Marantic)* Small, warty- Firm- Friable (but less than those of NBTE)* Small* Friable (produce emboli)- Medim sized (small)- Flat, verrucous- Irregular- Large- Bulky- Irregular* Along lines of closure* Along lines of closure* On surface of cusps both surfaces may be involved most common being the undersurface less often on mural endocardium* On upper sur faces of Cusps* Less often on mural Endocardium* Sterile (No organism)* Sterile* Sterile* Non-sterile (bacteria)* No destruction of underlying valves or myocardium* Non destructive* Destructive may damage valve or myocardium* Ulcerates or perforates underlying valve (myocardium)* Seen in Rheumatic fever* Seen in hypercoagulable states eg cancer, promyelocytic leukemia increased estogenic state* Seen in SLE* Seen in infective endocarditis